Most common type of cutaneous T.B. is:
1. Lupus vulgaris
2. Scrofuloderma
3. T.B. verruca cutis
4. Erythema induratum

Correct answer: 1. Lupus vulgaris

Explanation: A i.e. Lupus vulgaris